Malignant hypertension can lead to all of the following except:
1. Hypertensive retinopathy
2. Respiratory failure
3. Renal failure
4. Hemolytic blood picture

Correct answer: 2. Respiratory failure

Explanation: Ans. B: Respiratory failure Essential hypertension indicates that no specific medical cause can be found to explain a patient's condition. Secondary hypertension indicates that the high blood pressure is a result of (i.e., secondary to) another condition, such as kidney disease or tumours (pheochromocytoma and paraganglioma). Etiology of secondary hypertension Renal hypertension -This includes diseases such as polycystic kidney disease, chronic glomerulonephritis or renovascular hypertension; due to stenosis of a main or branch renal artery. Adrenal hypertension- primary aldosteronism, Cushing syndrome, pheochromocytoma Coarctation of the aorta Drugs-NSAIDS (Ibuprofen) and steroids can cause hypertension. Rebound hypertension-High blood pressure that is associated with the sudden withdrawal of various antihypertensive medications. Drugs commonly associated with rebound hypertension include centrally-acting antihypertensive agents, such as clonidine and beta-blockers. Complications: Cerebrovascular accident Myocardial infarction Hypertensive cardiomyopathy Hypertensive retinopathy Hypertensive nephropathy Hypertensive encephalopathy